Activation of the renin stimulates -
1. Water excretion
2. Potassium retention
3. Sodium retention
4. Magnesium excretion

Correct answer: 3. Sodium retention

Explanation: increase secretion of renin causes sodium retention, potassium excretion, increase ECF volume, magnesium retention ( Harrison 17 pg 2251)